Which of the following types of nerve fibers carry pain -
1. A- alpha
2. A-beta
3. A- gamma
4. A-delta

Correct answer: 4. A-delta